Which of the following types of shock will have low peripheral resistance
1. Hypovolemic
2. Cardiogenic
3. Distributive
4. Obstructive

Correct answer: 3. Distributive

Explanation: Distributive shock describes the pattern of cardiovascular responses characterising a variety of conditions including septic shock, anaphylaxis and spinal cord injury. Inadequate organ perfusion is accompanied by vascular dilatation with hypotension, low systemic vascular resistance, inadequate afterload and a resulting abnormally high cardiac output.